Congenital bilateral absence of vas deferens is genetically related to
1. Noonan syndrome
2. Down syndrome
3. Kartageners syndrome
4. Cystic fibrosis

Correct answer: 4. Cystic fibrosis

Explanation: Congenital bilateral absence of vas deferens is associated with cystic fibrosis.